All of the following are used in atrial arrhythmias except:
1. Digoxin
2. Verapamil
3. Quinidine
4. Lignocaine

Correct answer: 4. Lignocaine